What should be the diameter of post:
1. 1/2 of root diameter.
2. Same as root diameter.
3. 1/3rd of root diameter.
4. 1/4th of root diameter.

Correct answer: 3. 1/3rd of root diameter.

Explanation: At least 1mm dentin should be present circumferentially around post.